Teuton giant cells are seen in:
1. Sarcoidosis
2. Tuberculosis
3. Foreign body granuloma
4. Xanthoma

Correct answer: 4. Xanthoma

Explanation: Touton giant cells

These giant cells are seen in lesions with high lipid content such as fat necrosis, xanthoma, and xanthogranulomas.
They are also found in dermatofibroma.
They are formed by the fusion of epithelioid cells (macrophages) and contain a ring of nuclei surrounded by a foamy cytoplasm.